Pure word blindness is seen due to the lesion at?
1. Superior temporal gyrus
2. Inferior temporal gyrus
3. Splenium of corpus callosum
4. Arcuate fasciculus

Correct answer: 3. Splenium of corpus callosum

Explanation: Pure word blindness Referred to as alexia without agraphia. These patients cannot read but are able to write dictation. Occurs due to damage to pathways converging from occipital cortex to splenium of corpus callosum. Pure word deafness occurs due to a lesion in left superior temporal gyrus.